Memory T cells can be identified by using the following
1. CD 45RA
2. CD45RB
3. CD45RC
4. CD45RO

Correct answer: 4. CD45RO

Explanation: Ref Harrison 17/e p2021 CD45 (lymphocyte common antigen) is a receptor-linked protein tyrosine phosphatase that is expressed on all leucocytes, and which plays a crucial role in the function of these cells. ... These CD45-associated molecules may play an important role in regulatingCD45 tyrosine phosphatase activity and function. Present on memory T cells